Amniocentesis is done at what intrauterine age?
1. 12-Oct
2. 20-Dec
3. 20-25
4. 25-30

Correct answer: 2. 20-Dec

Explanation: ANSWER: (B) 12-20REF: Current OB./GYN 10th edition chapter 13.Repeat from December 2011 & June 2008Amniocentesis is often performed between 15 and 20 weeks' gestation. Chorionic villus sampling (CVS) is an alternative to amniocentesis. It is performed between 10 and 12 weeks' gestation and can be performed either transcervically or transabdominally.